The kinetic energy of the body is least in one of the following phases of walking cycle;
1. Heel strike.
2. Mid-stance
3. Double support
4. Toe-off

Correct answer: 2. Mid-stance

Explanation: Ans. is 'b' i.e. MidstanceRef.: Gray's 38th/e p 898 & 899According to Gray's- "In walking each foot is on the ground (stance phase) for about 60% of the stride and off (swing phase) for about 40%. Thus single support phases (one foot on the ground) alternate with double support phases (two foot)."Gray's further states- "The speed and so the kinetic energy of the body passes through a maximum in each double-support phase and a minimum in each single support phase."Here are various phases of waling cycle:Double Support phases of the walking - Heel Strike cycle includes - - Foot flatToe flatSingle limb support phases of the - Mid stance walking cycle includes - - Heel offMid swingSo the answer is obvious now because the only single limb support phase in the question is mid stance.